True about Patey mastectomy is
1. Pectoralis major is removed
2. Axillary lymph nodes are preserved
3. Pectoralis minor is divided
4. Nerve to Serratus anterior divided

Correct answer: 3. Pectoralis minor is divided

Explanation: Patey mastectomy The breast and associated structures are dissected en bloc and the excised mass is composed of:The whole breast.A large portion of skin, the centre of which overlies the tumour but which always includes the nipple.All of the fat, fascia and lymph nodes of the axilla.The pectoralis minor muscle is either divided or retracted to gain access to the upper two-thirds of the axilla. The axillary vein and nerves to the serratus anterior and latissimus dorsi (the thoracodorsal trunk) should be preserved. The intercostal brachial nerves are usually divided in this operation and the patient should be warned about sensation changes postoperatively.Ref: Bailey and Love, 27e, page: 876